False regarding thumb sucking is:
1. Must be treated vigorously in the first year of life
2. It is a sign of insecurity
3. It is a source of pleasure
4. Can lead to malocclusion

Correct answer: 1. Must be treated vigorously in the first year of life

Explanation: Ans. A. Must be treated vigorously in the first year of lifeThumb sucking is normal in early infancy. It is a source of pleasure in children and is a sign of insecurity. It can lead to malocclusion of teeth, if it persists beyond 5 years. Best policy is to ignore thumb sucking and concentrate on positive aspects of child's behavior. No treatment is required below 5 year of age.